Marker for biliary tract obstruction -
1. Alkaline phosphatase
2. Aspartate transaminase
3. Alanine transaminase
4. Creatinine kinase

Correct answer: 1. Alkaline phosphatase

Explanation: Answer-A. Alkaline phosphataseEnzymes that reflect cholestasisAlkaline phosphatase5'- nucleotidaseGamma-glutamyl transpeptidase (GGT)Lipoprotein-X is an abnormal lipoprotein that appears in the sera of patients with obstructive jaundice and thus is a sensitive indicator of cholestasis.